All are true about glycosaminoglycans except?
1. Protein associated with glycosaminoglycans is called core proteins
2. May be associated with connective tissues
3. Highly positively charged
4. Negatively charged

Correct answer: 3. Highly positively charged

Explanation: Ans. is 'c' i.e., Highly positively charged Proteoglycans are carbohydrates to which small amount of protein is attached. Proteoglycans consists of 95% of carbohydrates and 5% of protein. To know the structure of proteoglycans, one should know the structure of glycosaminoglycans.Glycosaminoglycans are heteropolysaccharide (heteropolysaccharides are polysaccharides which contain two or more different monosaccharide unit or their derivatives). Glycosaminoglycans are linear (unbranched) polysaccharides, with repeating diasaccharide units. Each disaccharide unit consists of an amino sugar and an acid sugar (sugar acid).Glycosaminoglyclans were first isolated from mucin, therefore they are also called mucopolysaccharides.They are negatively charged.